Medial epicondyle leads to :
1. Loss of sensation of thenar eminence
2. Atrophy of hypothenar eminence
3. Wrist drop
4. All

Correct answer: 2. Atrophy of hypothenar eminence

Explanation: B i.e. Atrophy of hypthenar eminenceThe ulnar nerve passes just behind the medical epicondyle So the fracture would lead to injury of ulnar nerve. The ulnar nerve injury cannot cause complete paralysis of 3rd & 4Lh digits as long extensons are supplied by radial nerve.